Antidote for benzodiazepine poisoning:
1. Naloxone
2. Atropine
3. Flumazenil
4. N-acetyl-cysteine

Correct answer: 3. Flumazenil

Explanation: Ans. Flumazenil